Best anaesthetic agent for out patient anasthesia is
1. Fentanyl
2. Morphine
3. Alfentanyl
4. Penthidine

Correct answer: 3. Alfentanyl

Explanation: C i.e. Alfentanyl